A child with decreased levels of LH, FSH and Testosterone presents with delayed puberty. Which of the following is the most likely diagnosis:
1. Klinfelter's syndrome
2. Kallman's syndrome
3. Androgen Insensitivity syndrome
4. Testicular Infection

Correct answer: 2. Kallman's syndrome

Explanation: - Among the given options, only Kallman syndrome is a cause of hypogonadotrophic hypogonadism, where LH, FSH, as well as testosterone levels will be low. - Associated with impaired sensation of smell - Remaining all options given, presents with hypergonadotropic hypogonadism